Which of the following is the presenting part in the fetus in left occiputo - anterior (LOA) position:
1. Shoulder
2. Face
3. Brow
4. Vertex

Correct answer: 4. Vertex

Explanation: In Left occiput anterior (LOA) position, the head is flexed sharply so that the chin is in contact with the thorax. The occipital fontanelle is the presenting part, and this presentation is referred to as a vertex or occiput presentation. If Fetal head is - Well flexed - Vertex presentation Deflexed head - Brow presentation Extended head - Face presentation